The function of an occlusal rest seat is
1. To resist vertical force of occlusion
2. Stabilize the denture
3. To prevent the lateral forces acting on the tooth
4. Increase retention of partial denture

Correct answer: 1. To resist vertical force of occlusion